A 32 week preterm infant, weighing 1400 gm, vitals stable, admitted in NICU, What is the best feeding procedure ?
1. Total enteral nutrition
2. Start IV fluids; introduce feeding from second day
3. Total parenteral nutrition
4. IV fluid only

Correct answer: 1. Total enteral nutrition

Explanation: 32 - 34 weeks : start feed by spoon or paladai ( Total enteral nutrition ) Ref : Ghai pediatrics eighth edition pg no 159